All of the following are indications of CT scan in head injured patient except:
1. GCS<13
2. Vomiting 1 episode
3. Focal neurological deficit
4. Mild head injury in patient Age >65 years

Correct answer: 2. Vomiting 1 episode

Explanation: NICE guidelines for CT in Head injury GCS<13 at any point GCS 13 or 14 at 2 hours Focal neurological deficit Suspected open, depressed or basal skull fracture Seizure Vomiting > One episode Urgent CT scan if none of the above but: Age>65 years Coagulopathy (e.g., warfarin) Dangerous mechanism of injury (CT within 8 hours) Antegrade amnesia > 30 min (CT within 8 hours) Ref: Bailey 27th edition Pgno: 330